Mechanism of action of statins:
1. Inhibit HMG CoA synthase
2. Stimulate HMG CoA reductase
3. Inhibit HMG CoA reductase
4. Stimulate HMG CoA synthase

Correct answer: 3. Inhibit HMG CoA reductase

Explanation: Ref: KDT 6th ed. pg. 614* HMG-CoA Reductase Inhibitors (statins): This class of compound is the most efficacious and best tolerated hypolipidaemic drugs.* MOA: Competitively inhibit conversion of HMG-CoA to mevalonate by the enzyme HMG-CoA reductase.* Drugs (Statins): Lovastatin, Simvastatin, Pravstatin, Atorvastatin, Rosuvastatin* All statins are given at night except: Rosuvastatin, Atorvastain (can be given at anytime)* Major side effects of statins: Myopathy* Most potent statin: Pitavastain